Most important polyunsaturated fatty acid:
1. Linolenic acid
2. Linoleicacid
3. Arachidonic acid
4. Ecosapentoie acid

Correct answer: 2. Linoleicacid

Explanation: Ref: Vasudevan DAT Sreekumari S, Textbook of Biochemistry, 6th Edn. Page no: 76Explanation:The most essential of PUFA is linoleic acid since arachidonic acid can be synthesized from linoleic acid, which is the precursor for the 'EicosonoidsfHence Linoleic and Linolenic acids are nutritionally essentia! fatty acids and if we take enough of essential FAs, Arachidonic acid can be synthesized from linoleic acid.Arachidonic acid is called as semi-essential FA.Since it becomes essential when we don't take enough of essential FAs in our diet.Note: People who use coconut oil which contain mostly saturated FAs, they suffer from "Phrynoderma!' (toad like skin).